'Congenital' erosion may reappear at :
1. One year of age
2. Two year of age
3. Five years of age
4. Puberty

Correct answer: 4. Puberty

Explanation: Puberty